Confirmatory investigation in retinitis pigmentosa is
1. Optical coherence tomography
2. Pachymetry
3. Visual Acuity testing
4. Electroretinogram

Correct answer: 4. Electroretinogram

Explanation: Answer- D. ElectroretinogramAn accurate diagnosis of retinitis pigmentosa relies on the documentation of the progressive loss photoreceptor cell function, confirmed by a combination of visual field and visual acuity tests, fundus and optical coherence imagery, and electroretinography.